A patient presents with h/o evening halos and occasional headache for some months. His examination shows normal IOP but shallow AC. He is in which stage of glaucoma:
1. Acute
2. Absolute
3. Prodrome
4. Constant instability

Correct answer: 3. Prodrome

Explanation: C i.e. Prodrome